The pattern of inheritance of retinitis pigmentosa are all Except
1. Autosomal recessive
2. Autosomal dominant
3. X linked recessive
4. X linked dominant

Correct answer: 4. X linked dominant

Explanation: In most cases, the disorder is linked to a recessive gene, a gene that must beinherited from both parents in order to cause the disease. But dominant genes andgenes on the X chromosome also have been linked to retinitis pigmentosa. In these cases, only one parent has passed the diseasegene. Refer robbins 1339